The antibiotic of choice in patients sensitive to penicillin is
1. Erythromycin
2. Streptomycin
3. Tetracycline
4. Chloramphenicol

Correct answer: 1. Erythromycin